Oedipus complex seen in:
1. Girl 1 to 3 years
2. Girls 3 to 5 years
3. Boys 1 to 3 years
4. Boys 3 to 5 years

Correct answer: 4. Boys 3 to 5 years

Explanation: Oedipus complex - seen in boy. child develop sexual feeling to opposite sex parent and develop jealousy or hostile feeling to parent of same sex Its develop between 3 to 5 year of age. Same thing in girl known as Electra complex